Maximum weight that can be given with skeletal traction is:
1. 5 kg
2. 10 kg
3. 15 kg
4. 20 kg

Correct answer: 4. 20 kg

Explanation: Ans. D: 20 kg Traction is usually applied to the spine, pelvis, neck, arms, or legs. The force is generated by weight or force against the weight of the body. The two main types of traction are skin traction and skeletal traction. Of these two types, many specialized forms have been developed to treat conditions in specific parts of the body. With skin traction, weights are attached to the skin, which applies the pulling force to the bone. It is used when light (3 to 4 kg) or short-term traction is needed. With skeletal traction, pins are attached to the bone so that the pulling force is applied directly to the bone. Skeletal traction is used when skin traction is not possible and when greater weight (upto 20 kg) is needed.